Coloboma of the iris is defined as:
1. Persistent anterior vascular sheath of lens
2. Absent iris
3. Poorly developed uveal tissues
4. Pink coloured iris

Correct answer: 3. Poorly developed uveal tissues

Explanation: Ans: C i.e. Poorly developed uveal tissues Conditions & their definitions Continued existence of part of the anterior vascular sheath of the lens (a foetal structure which normally disappears shortly before birth) is known as persistent papillary membrane Absence of iris is known as aniridia In colobomata, the tissues of the uvea & the associated retinal tissues or their prolongation onto the back of the iris are badly developed/ deficient Owing to the absence of the pigment in the eye in patients of albinism, iris looks pink